DNA fingerprinting was discovered by
1. Crick
2. Galton
3. Jeffery
4. Southern

Correct answer: 3. Jeffery

Explanation: DNA FINGERPRINTING DNA fingerprinting (DNA typing, DNA identification, or genetic typing) is a technique involving chemically dividing the DNA into fragments which form a unique pattern and then matching that "identity profile" with the pattern obtained from similarly testing a suspect's blood specimen. If the two patterns match, the possibility of error, i.e. the chance that they do not belong to the same individual may be less than one in 30 billion. Dr. Alec Jeffreys in 1985, developed DNA fingerprinting. Ref:- k s narayan reddy; pg num:- 459